What is/are not a feature(s) of the Encephalotrigeminal syndrome:
1. Rail track appearance on CT scan
2. Hemiatrophy of the brain
3. Convulsion
4. Empty sella

Correct answer: 4. Empty sella

Explanation: Sturge - Weber Syndrome / Encephalotrigeminal Syndrome - Large unilateral cutaneous angioma (port - wine stain) - Focal seizures typically occurs opposite to the side of lesion - Cerebral angiomas lead to cortical atrophy - Angiomas are visible radiologically as tram - track or rail track calcification mainly in occipital region